About scurvy, all are true EXCEPT:
1. Subperiosteal hematomas with tenderness
2. Separation of epiphysis
3. Raised serum alkaline phosphatase
4. Gingival bleeding

Correct answer: 3. Raised serum alkaline phosphatase

Explanation: Ans. C i.e. Raised serum alkaline phosphataseScurvyBleeding into skin & joints,Wimberger sign,Pseudoparalysis etc.